Mandibular second premolar 3-cusp type is developed from:
1. 3
2. 4
3. 5
4. 6

Correct answer: 3. 5